Auspitz sign is seen in :
1. Pustular psoriasis
2. Plaque type psoriasis
3. Lichen planus
4. Pityriasis rubra pilaris

Correct answer: 2. Plaque type psoriasis

Explanation: Ans. is 'b' i.e. Plaque-type psoriasis Auspitz sign is a feature of plaque psoriasisPlaque psoriasis or psoriasis vulgaris in the most common form of psoriasis.Auspitz signIt is a bedside test to confirm the clinical presentation of psoriasis.There are 3 steps to this testStep A -Gently scrape the lesion with a glass slide. This accentuates the silvery scales Scrape off all the scales. Step B-As you continue to scrape the lesion, a glistening white adherent membrane appears. Step C-On removing the membrane, punctate bleeding points become visible.The other bedside test for Psoriasis is: - Grattage test * Scales in a psoriatic plaque can be accentuated by grating with a glass slide